Which of the following drug has anxiolytic action with least sedation?
1. Buspirone
2. Triazolam
3. Alprazolam
4. Chlordiazepoxide

Correct answer: 1. Buspirone

Explanation: Features of BuspironeNon-benzodiazepine anxiolytic agentDoes not produce significant sedation or cognitive/functional impairmentDoes not interact with BZD receptor or modify the GABAergic transmissionDoes not produce tolerance or physical dependenceDoes not suppress BZD or barbiturate withdrawal syndromeHas no muscle relaxant or anticonvulsant activity( Refer: KD Tripathi's Essentials of Medical Pharmacology, 7th edition, pg no: 466-467)